On Doppler studies which is an ominous sign for IUGR fetus :
1. Increase S/D ratio
2. Reverse diastolic flow
3. Diastolic notch
4. All of the above

Correct answer: 2. Reverse diastolic flow

Explanation: Absence of end-diastolic frequencies or reverse diastolic flow patterns in the umbilical artery usually indicates poor perinatal outcome. Reference: Dutta's Textbook of Obstetrics 7th edition page no 227